Gynaecomastia is side effect of all, EXCEPT :
1. Ranitidine
2. Cimetidine
3. Spironolactone
4. Ketoconazole

Correct answer: 1. Ranitidine

Explanation: Ans. is 'a' i.e. Ranitidine You must have noticed till now the number of repetitions this topic has, so learn the drugs causing gynecomastia well.